Meyer's procedure is a method for treatment of
1. Recurrent shoulder dislocation
2. Habitual dislocation of patella
3. Congenital dislocation of hip
4. Fracture neck of femur

Correct answer: 4. Fracture neck of femur

Explanation: (D) Fracture neck of femur # MEYER'S PROCEDURE: In this procedure, the is reduced by exposing it from behind.> It is fixed with multiple screws and supplemented witha vascularised muscle pedicle bone grat taken from the femoral attachment of quadratus femoris muscle.